Differential cyanosis is seen in:
1. ASD
2. VSD
3. PDA
4. All of the above

Correct answer: 3. PDA

Explanation: Answer is C (PDA) Differential cyanosis is a characteristic feature of Patent ductus arteriosus